A term neonate, delivered by C-section with respiratory distress immediately after birth. X-ray shows perihilar streaking and distress subsides after 48-72 hours? Diagnosis?
1. Neonatal apnea
2. Meconium aspiration syndrome
3. ARDS
4. Transient tachypnea of newborn

Correct answer: 4. Transient tachypnea of newborn

Explanation: Term baby with uncomplicated birth developing tachypnea in the first few hours of birth -Transient tachypnea of newborn. Due to delayed clearance of lung fluid Delivery by cesarean section is a risk factor Mild and self-limiting illness Respiratory distress usually subsides Spontaneously in 48-72 hours Radiological findings of transient tachypnea of newborn:- Prominent perihilar streaking Fluid in interlobar fissure Pleural effusion Remember: Reticulo-granular patterns air broncho grams & low volume lungs are seen in Respiratory Distress syndrome.